Absolute indication for caesarean section in pregnancy are all except?
1. Advanced Carcinoma Cervix
2. Central Placenta Praevia
3. Non reassuring FHR (Fetal distress)
4. Contracted Pelvis

Correct answer: 3. Non reassuring FHR (Fetal distress)

Explanation: Non reassuring FHR is a Relative indication for C-section.